Keratoconus is associated with all except-
1. Down's syndrome
2. Ehlers-Danlos' syndrome
3. Marfan's syndrome
4. Usher's syndrome

Correct answer: 4. Usher's syndrome

Explanation: Keratoconus may be associated with : Ocular conditions e.g. ectopia lentis, congenital cataract, aniridia, retinitis pigmentosa, and vernal keratoconjunctivitis (VKC).Systemic conditions e.g., Marfan's sysndrome, atopy, Down's syndrome, Ehlers-Danlos syndrome, osteogenesis imperfecta and mitral valve prolapse. Reference:Comprehensive ophthalmology,AK Khurana,4th edition,page no.120